Ideal time for surgery in case of unilateral cleft lip?
1. <3 months
2. 3 to 6 months
3. 6 to 9 months
4. >12 months

Correct answer: 2. 3 to 6 months

Explanation: Ans. b (3 to 6 months) (Ref. Bailey and Love 26th/pg.637).Timing of primary cleft lip and palate procedures.Cleft lip aloneUnilateral (one side)Bilateral (both sides)One operation at 5-6 monthsOne operation at 4-5 months Cleft palate aloneSoft palate onlySoft and hard palateOne operation at 6 months two operationsSoft palate at 6 monthsHard palate at 15-18 monthsCleft lip and palateUnilateralTwo operationsCleft lip and soft palate at 5-6 monthsHard palate and gum pad with or without lip revisionat 15-18 monthsBilateralTwo operationsCleft lip and soft palate at 4-5 monthsHard palate and gum pad with or without lip revisionat 15-18 months